Most common cytochrome associated with metabolism of drugs is ?
1. CYP3A4/5
2. CYP2D6
3. CYP2C8/9
4. CYP2Cl.9

Correct answer: 1. CYP3A4/5

Explanation: Ans. is 'a' i.e., CYP3A4/5 Cyp 3 A 4/5 carryout biotransformation of largest number (nearly 50%) of drugs.